How early can gutta percha be removed after root canal obturation to prepare post space
1. Immediately
2. 24 hours
3. 48 hours
4. Can be removed after one week

Correct answer: 1. Immediately

Explanation: No difference in apical seal is observed when Gp is removed immediately or after a week from the root canal.